Presence of maggots at post mortem indicates -
1. Duration since death
2. Cause of death
3. Mode of death
4. Posture of body at time of death

Correct answer: 1. Duration since death

Explanation: Presence of maggots helps in determining the time since death.